Suspended animation is defined as:
1. Apparent death from which person can be aroused
2. True death from which person can not be aroused
3. May last for days or weeks
4. Call not be produced voluntarily

Correct answer: 1. Apparent death from which person can be aroused

Explanation: A i.e. Apparent death from which person can be aroused - Suspended animation is apparent death from which person can be arousedQ - Mnemonic for causes - 'New Prolonged Heat Of Maun Yogi' & 'A B C D E F' i.e. new born; prolonged illness as typhoid, cholera etc; Heat stroke, Opiate, Mesmeric trance, Yogi Anesthesia & Apparently drowned, Barbiturate, Cerebral Concussion, Deep Shock, Electrocution, Frozen Coma